C D-99 is for -
1. Ewing's sarcoma
2. SLL
3. Dermatofibroma protruberans
4. Malignant histiocytic fibroma

Correct answer: 1. Ewing's sarcoma

Explanation: CD 99 is a marker associated with the diagnosis of Ewing's sarcoma.
Granulosa cell tumour is also often found to be associated with CD 99.